All of the following bacteria test "Urease positive" except:
1. E. coli
2. Proteus
3. Klebsella
4. Staphylococcus

Correct answer: 1. E. coli

Explanation: Ans. (a) E. colt See below Urease test is positive in urease producing bacteria which includes: Proteus ii. S. aureus Morganella iv. Klebsiella v. Yersinia vi. Cryptococcus vii. Diptheroids viii. Mycobacterium except MAC ix. H. Pylori Mnemonic: PSM KY CD Meri Hai